Cell arrest due to DNA damage is done through which of the following genes?
1. Rb
2. P53
3. P16
4. Notch signal

Correct answer: 2. P53

Explanation: TRANSIENT p53 INDUCED CELL CYCLE ARREST Mechanism: